When NaC1 is injected in the internal carotid artery, it causes release of ADH by acting on :
1. Paramedian nucleus
2. Anterior pitutary
3. Part raoptic nucleus
4. Supraoptic nucleus

Correct answer: 4. Supraoptic nucleus

Explanation: D i.e. Supraoptic nucleus